Prognosis of breast carcinoma is best determined by ?
1. Oestrogen \/ progesteron receptors
2. Axillary lymph node status
3. Clinical assessment
4. CT

Correct answer: 2. Axillary lymph node status

Explanation: .Treatment of breast cancer depends on clinical stage of disease and stagings involves assessing the most common lymph node draining the breast:ie axillary lymph node. according to TNM staging, the nodes are scored on 1 to 3 score 1 :no nodal involvement score 2: one to three nodes involved score 3:four or more nodes involved Reference: BAILEY & LOVE'S 24th edition , (P,no:839 )